Stress fracture not involves -
1. Metatarsals
2. Metacarpals
3. Tibia
4. Calcaneum

Correct answer: 2. Metacarpals

Explanation: Amongst the given options, metacarpal is the least common site.
With few exceptions, fatigue or stress fractures are confined to the bones of the lower limb.
Three most commonly involved bones are metatarsal, fibula and tibia in that order.
Other bones may also be involved like the neck of the femur, femur shaft, medial malleolus, tarsal, navicular, calcaneum.